M/c site for extrapelvic endometriosis is:
1. Broad ligament
2. Sigmoid colon
3. Rectum
4. Ovary

Correct answer: 2. Sigmoid colon

Explanation: Ans. is b, i.e. Sigmoid colonM/C site for extrapelvic endometriosis = GITIn GIT M/C site is = sigmoid colon > RectumOverall M/C site of endometriosis = OvaryRarest site of endometriosis = CNS